A middle aged man presents with parasthesia of hands and feet. Examination reveals presence of `Mees' lines in the nails and rain drop pigmentation in the hands. The most likely causative toxin for the above mentioned symptoms is -
1. Lead
2. Arsenic
3. Thallium
4. Mercury

Correct answer: 2. Arsenic